True about peripheral nerve injury in upper limb-a) Radial nerve injury cause anaesthesia over anatomical snuff boxb) Median nerve injury cause wrist dropc) Ulnar nerve injury cause claw handd) Index finger anesthesia is caused by median nerve injurye) Thumb anaesthesia is caused by ulnar nerve injury
1. abc
2. ad
3. acd
4. bde

Correct answer: 3. acd

Explanation: Radial nerve injury causes wrist drop. Thumb anaesthesia is due to median nerve injury.